4 years old child having palpable abdominal mass & hypertension with sweating & diarrhea is due to
1. Neuroblastoma
2. Nephroblastoma
3. PCKD (Polycystic kidney disease)
4. Medulloblastoma

Correct answer: 1. Neuroblastoma

Explanation: Neuroblastoma is a malignant tumor of autonomic nervous system.Clinical features are related to the localisation of the sympathetic nervous system and site of metastasis.The most common site is adrenal medulla.The patient can present with a localised abdominal mass ,sweating and hypertension due to the hyperstimulation of sympathetic nervous system.It is also characterised by watery diarrhea associated with VIP(vasoactive intestinal polypeptide) secretion by the tumor. Reference:Essential pediatrics-Ghai,8th edition,page no:616,617.